Vitamin A is stored mainly as retinol esters in
1. Kidney
2. Muscle
3. Liver
4. Retina

Correct answer: 3. Liver

Explanation: retinal is reduced to retinol by retinal reductase in the intestinal mucosa intestine is the major site of absorption vitamin is transported and stored in the liver as retinol palmitate ref DM Vasudevan 8th ed page 454